In myasthenia gravis antibody are formed against\
1. ACh receptor
2. Ca channel
3. K channel
4. H2 receptor

Correct answer: 1. ACh receptor

Explanation: (A) ACh receptor > The major problem in myasthenia gravis is a marked reduction of acetylcholine receptors on the motor endplate where cranial nerves form a neuromuscular junction with muscles.> In these patients, autoantibodies against the acetylcholine receptors effectively reduce receptor numbers.> Normally, acetylcholine molecules released by the nerve terminal bind to receptors on the muscle endplate, resulting in a stimulation of contraction by depolarizing the muscle membrane.> The condition is improved with drugs that inhibit acetylcholinesterase. CALCIUM CHANNEL DISORDERS OF MUSCLE: Hypokalemic Periodic Paralysis (HypoKPP). SODIUM CHANNEL DISORDERS OF MUSCLE: Hyperkalemic Periodic Paralysis (HyperKPP). POTASSIUM CHANNEL DISORDERS: Andersen's Syndrome